In sexual assault cases of children, the hymen is usually
1. Ruptured as it is thin
2. Ruptured as is underdeveloped
3. Intact as it is elastic
4. Intact as it is deep seated

Correct answer: 4. Intact as it is deep seated

Explanation: Rape on Children: In young children there are few or no signs of general violence, for the child usually has no idea of what is happening, and also incapable of resisting. The hymen is deeply situated, and as the vagina is very small, it is impossible for the penetration of the adult organ to take place. Usually, the penis is placed either within the vulva or between the thighs. As such the hymen is usually intact and there may be little redness and tenderness of the vulva.